Risser Localiser cast is used in the management of:
1. Kyphosis
2. Spondylolysthesis
3. Idiopathic scoliosis
4. Lordosis

Correct answer: 3. Idiopathic scoliosis

Explanation: Idiopathic scoliosis Risser's Localiser cast is used for non-operative correction of idiopathic scoliosis. Other casts and braces used for scoliosis are: Milwaukee brace, Boston brace Operative management of idiopathic scoliosis includes: The Harrington Rodding Rod and sublaminar wiring (Luque) The Cotrel-Dubousset system d.Anterior instrumentation (Dwyer; Zielke) Casts and Splints Minerva cast------------------------------------ Cervical spine fracture Hanging cast------------------------------------ Fracture Humerus Cylinder cast----------------------------------- Fracture Patella Patellar tendon bearing cast--------------- Fracture Tibia Aluminium splint----------------------------- immobilization of finger Thomas splint---------------------------------- Fracture femur Bohler Braun splint-------------------------- Fracture femur Toe rising splint------------------------------- Foot drop Knuckle bender splint----------------------- Ulnar nerve palsy Cock up splint--------------------------------- Radial nerve palsy Dennis Brown splint------------------------- CTEV Also Know Risser's sign: This is a sign to assess skeletal maturity as the scoliotic curvature progresses most during the period of rapid skeletal growth. The iliac apophyses start ossifying shortly after puberty. Once the iliac crests are completely ossified, further progression of the scoliosis is minimal (Risser's sign)